In iron deficiency anemia there is:
1. Decrease in hemoglobin
2. Increase in hemoglobin
3. Increase in platelets
4. Decrease in platelets

Correct answer: 1. Decrease in hemoglobin